Steven Johnson Syndrome is seen with what kind of hypersensitivity reaction?
1. Type 1
2. Type 2
3. Type 3
4. Type 4

Correct answer: 4. Type 4

Explanation: Ref: Chapter 55, Harrison, 19th edition Clinical Features of Severe Cutaneous Drug ReactionsDiagnosisMucosal lesionsTypical skin lesionsStevens- Johnson syndromeErosions usually at two or more sitesSmall blisters on dusky purpuric macules or atypical targets; rare areas of confluence; detachment <=10% of body surface area DiagnosisMucosal LesionsTypical skin lesionsToxic epidermal necrolysisErosions usually at two or more sitesIndividual lesions like those seen in Stevens- Johnson syndrome; confluent erythema; outer layer of epidermis separates readily from basal layer with lateral pressure; large sheet of necrotic epidermis; total detachment of >30% of body surface areaClassification of Adverse Drug Reactions Based on Immune PathwayHypersensitivitytypeKey pathwayAdverse drug reaction typeType IIgEUrticaria, angioedema, anaphylaxisType IIIgG-mediated cyto-toxicityDrug induced hemolysisType IIIImmune complexVasculitis, serum sickness, drug-induced lupusType IV bT lymphocyte- mediated eosinophil inflammationTuberculin skin test, contact dermatitisType IV cT lymphocyte- mediated cytotoxic lymphocyte inflammationDrug-induced hypersensitivity syndromeMorbiliform eruptionType IV dT lymphocyte- mediated neutrophil inflammationAcute generalized exanthematouspustulosis